True about valves in portal venous system -
1. Present at the junction of superior mesenteric artery with the splenic artery
2. Within the portal vein only
3. The whole system is valveless
4. In the intrahepatic portion of portal vein

Correct answer: 3. The whole system is valveless

Explanation: Although demonstrable during fetal and early neonatal period, there are no valves in a portal vein and its tributaries in the postnatal period.